True statement about standard normal curve:
1. Equal distribution on either side of the curve
2. The total area under the curve is 2
3. Its mean is 1
4. Standard deviation is 0

Correct answer: 1. Equal distribution on either side of the curve

Explanation: (Refer: K. Park’s Textbook of Preventive and Social medicine, 24th edition, pg no:886 )
Normal distribution

Gaussian / Standard distribution
Symmetric with respect to same mean, median & mode & frequencies tapers off rapidly and symmetrically on both sides